Intercalated discs are seen in
1. Iris
2. Cardiac muscle
3. Musculotendinous endings
4. Nerve bundles

Correct answer: 2. Cardiac muscle

Explanation: Ans: b) Cardiac muscleIntercalated discs are cell membranes that separate individual cardiac muscle cells from one another. Cardiac muscle fibres are made up of many individual cells connected in series and in parallel in such a way that they form permeable "communicating junctions"- gap junctions that allow free diffusion of ions.